Phase IV of Clinical trials collect information specifically about?
1. Drug efficacy
2. Drug potency
3. Drug toxicity
4. Other possible uses of the drug

Correct answer: 3. Drug toxicity

Explanation: Ans. is 'c' i.e., Drug toxicity